Best X-ray view to visualise superior orbital fissure is:
1. Anteroposterior
2. Basal
3. Towne's
4. Caldwell Luc's view

Correct answer: 4. Caldwell Luc's view

Explanation: D i.e. Caldwell Luc's view